Corneal transparency is due to all except –
1. Na+–K+pump
2. Normal IOT
3. Hypercellular stroma
4. Peculiar arrangement of lamella

Correct answer: 3. Hypercellular stroma

Explanation: Hypercellular stroma will cause increased thickness of cornea and reduced transparency.
Other three options have been explained.